Examination of a person accused of rape by medical practitioner comes under
1. Sec 376CrPC
2. Sec 45CrPC
3. Sec53ACrPC
4. Sec 54ACrPC

Correct answer: 3. Sec53ACrPC

Explanation: Sec53ACr.PC. Examination of person accused of rape by medical practitioner.- when a person is arrested on a charge of committing an offence of rape or attempt for rape, he shall be examined by a Govt registered medical practitioner and in the absence of such a practitioner within the radius of 16km from the place where the offence has been committed, by any other registered medical practitioner, at request of police officer not below the rank of sub inspector, using force reasonably necessary for that purpose. Ref: FORENSIC MEDICINE AND TOXICOLOGY Dr PC IGNATIUS THIRD EDITION PAGE 306